All of the following are postcoital contraception methods except-
1. Mifepristone
2. IUD
3. Levonorgestrol
4. Barrier methods

Correct answer: 4. Barrier methods

Explanation: Ans. is 'd' i.e., Barrier methods